Thick walled, resting spores of round shape and thickening of the hyphal segments is a feature of
1. Athrospore
2. Chlamydospore
3. Basidiospore
4. Conidiospores

Correct answer: 2. Chlamydospore

Explanation: Blastospores - these are formed by budding from parent cell as in yeast. Arthrospores - these are formed by the production of cross septa into hyphae resulting in rectangular thick-walled spores. Conidiospores - spores borne externally on sides or tips of hyphae. Reference: Textbook of Microbiology; Baveja; 4th edition